Indications of surgery in Varicocele is/are:a) Small testisb) Painc) Oligospermiad) Very large varicocelee) Subclinical presentation
1. abc
2. bc
3. acd
4. bcd

Correct answer: 1. abc

Explanation: Indications of surgery in Varicocele:

Infertility (abnormal semen parameters or sperm function test results)
Small testis (Varicoceles are associated with testicular atrophy and varicocele correction can reverse atrophy in adolescents.)
Pain

Though very large varicocele is most likely to be associated with an abnormal semen parameter, but a large varicocele is not mentioned as an indication for surgery.